Which of the following reflex persists as voluntary standing:
1. Walking or stepping reflex.
2. Limb placement reflex.
3. Parachute reflex.
4. Landau reflex.

Correct answer: 1. Walking or stepping reflex.